Initial drug of choice in a child with status epilepticus-
1. Lorazepam
2. Phenobarbitone
3. Valproate
4. Phenvtoin

Correct answer: 1. Lorazepam

Explanation: Ans. is 'a' i.e., Lorazepam o Status epilepticus implies prolong single seizure or multiple episode of seizure lasting for more than 30 min.o Management include -i) Ensure adequate vitals, systemic & cerebral oxygenation,ii) Terminate seizureiii) Prevent seizure reccuranceiv) Establish diagnosis and treat underlying disorder,o To terminate seizure, Benzodiazepin are used,o So initially Benzodiazepine like diazepam, Lorazepam or midazolam,o Lorazepam is preferred over diazepam as longer action & minimal depresion.